The function of middle ear is-
1. Impedence matching
2. Converting sound energy into electric energy
3. Increase in intensity of sound
4. Helps in equilibrium

Correct answer: 1. Impedence matching

Explanation: Ans: A. Impedence matching(Ref: Dhingra's S'h/e p. 18; Tuli L't/e p. 35)The middle ear ossicles provide a pathway for sound to travel from the outer to the inner ear.Opposition to sound energy transfer is known as impedance.The ossicles exist to help overcome the effect of impedance by impedance matching, thus permitting more sound energy to be transmitted from the outer to the inner ear.